What complication commonly occurs in anterior duodenal ulcer -
1. Bleeding
2. Penetration
3. Perforation
4. Stricture formation

Correct answer: 3. Perforation